Whicm among the following doe not cause hyperpyrexia?
1. MAGI
2. Alcohol
3. Atropine
4. Amphetamine

Correct answer: 2. Alcohol

Explanation: B i.e. Alcohol Alcohol (methyl and ethyl) causes hypothermia (not hyperthermia) and peripheral vasodilationQ. Peripheral vasodilatation increases peripheral circulation resulting in feeling of warmth and warm skin, but at the same time actually there is loss of body heat from skin resulting in hypothermia. This becomes very important in cold temperatures. Antidepressants (such as amphetamine, MAO-inhibitors and tricyclic antidepressants) and atropine all have anticholinergic effects causing hyperpyrexiaQ.